Which of the following agents is likely to cause cerebral calcification and hydrocephalus in a newborn whose mother has history of taking spiramycin but was not complaint with therapy –
1. Rubella
2. Toxoplasmosis
3. CMV
4. Herpes

Correct answer: 2. Toxoplasmosis

Explanation: This question is straight forward; spiramycin is in pregnancy is given for toxoplasmosis. Prenatally acquired T.gondii may infect the brain and retina of the fetus and can cause chorioretinitis, intracerebral calcifications, and hydrocephalus.
Cerebral calcification and hydrocephalus may also occur with congenital CMV and HSV infection, but spiramycin is not given for these infections.